A 4-year child presents with a history of hoarseness, croupy cough and aphonia; the child has dyspnea with wheezing. The most probable diagnosis is:
1. Asthmatic bronchitis
2. Laryngeal foreign body
3. Bronchopneumonia
4. Retropharyngeal abscess

Correct answer: 2. Laryngeal foreign body

Explanation: Ans. B. Laryngeal foreign bodyForeign body Aspiration: - Most common age group is 6 months to 4 years. Most common foreign body aspirated is peanuts.Most airway foreign bodies lodge in a bronchus (right more than left).